Most common site of ectopic salivary gland is?
1. Cheek
2. Palate
3. Angle of mandible
4. Tongue

Correct answer: 3. Angle of mandible

Explanation: Ans is 'c' i.e. Angle of mandible * An accessory salivary gland is ectopic salivary gland tissue with a salivary gland duct system. The most common location of accessory salivary gland tissue is an extra major salivary gland in front of the parotid gland.* Salivary gland heterotopia is where salivary gland acini cells are present in an abnormal location without any duct system. The most common location is the cervical lymph nodes.* Most common ectopic salivary gland tissue is Stafne bone cyst.* It presents as asymptomatic, clearly demarcated radiolucency of the angle of mouth, characteristically, below inferior dental neurovascular bundle.